Which of the following hormones stimulates increased testosterone production by ovaries in PCOD
1. Estrogen
2. Luteinizing Hormone
3. Follicle - stimulating Hormone
4. Inhibin

Correct answer: 2. Luteinizing Hormone

Explanation: Lutenizing hormone and insulin stimulate increased testosterone production by ovaries in PCOD.